All of the following can be used for establishing antenatal diagnosis except :
1. Fetal blood
2. Maternal blood
3. Amniotic fluid
4. Decidua

Correct answer: 4. Decidua

Explanation: Answer is D (Decidua) : Decidua has not been mentioned to play any role in antenatal diagnosis Maternal Blood Can be used as in estimation of AFP (MSAFP) : MSAFP level is elevated in a number of conditions. - wrong gestational age - open neural tube defects Q - multiple pregnancy Q - Intra uterine fetal death Q - Renal anomalies Q Amniotic fluid Forms on important tool for antenatal diagnosis. Following tests may be performed on amniotic fluid : - estimation of Alpha feto-protein (AFP). - culture and chromosomal study of desquamated fetal cells in the amniotic fluid. Fetal Blood May be used for - fetal anemia - Bleeding disorders - Rheusus disease - Non-Immune Hydrops Fetalis